Rigor mortis first sets in
1. Face muscles
2. Muscles of eyelid
3. Neck muscles
4. Small muscles of hand

Correct answer: 2. Muscles of eyelid

Explanation: (B) Muscles of eyelid # Rigor mortis first appears in the involuntary muscle - Heart first affected.> In the voluntary muscle - Eyelid muscles appears first.> It first appearance in involuntary and then in voluntary muscles.> It is not dependent on the nerve supply as it also develops in the paralysed limbs.# Rigor mortis is tested by: Attempting to lift the eyelids. Depressing the jaw. Gently bending the neck and various joints of the body. Sequence: Eyelid - face neck and trunk - upper extremity - legs - small muscles of fingers & toes. In India rigor mortis commences in 2- 3 hours, the time since death would be within about 12-24 hours.